Immunoglobulin secreted by fetus as primary response -
1. IgA
2. IgM
3. IgG
4. IgD

Correct answer: 2. IgM

Explanation: Ans. is 'b' i.e., IgM